Paul bunnel reaction is a type of
1. Agglutination
2. CF
3. Precipitation
4. Flocculation test

Correct answer: 1. Agglutination

Explanation: Ans. is 'a' i.e., Agglutination test Paul Bunnell test is tube agglutination test.